Radioresistant tumour is
1. Ewing's sarcoma
2. Osteosarcoma
3. Retinoblastoma
4. Neuroblastoma

Correct answer: 2. Osteosarcoma

Explanation: Highly resistantHighly sensitiveMaligant melanomaOsteosarcomaSeminomaMultiple myelomaEwings sarcomaWilms tumourLymphoma(Ref: Harrison's principals of Internal medicine, 17th Ed page 612)